Patient diagnosed as squamous cell intraepithelial lesion. Which of the following has the highest risk for progression to carcinoma?
1. Low grade squamous intraepithelial neoplasia
2. High grade squamous intraepithelial neoplasia
3. Squamous intraepithelial neoplasia associated with HPV 16
4. Squamous intraepithelial neoplasia associated with HIV

Correct answer: 2. High grade squamous intraepithelial neoplasia

Explanation: Cervical intraepithelial neoplasia (CIN grades I-III) and squamous intraepithelial lesions (SIL) are dysplastic changes in the cervical epithelium that are a precursor to malignancy (i.e., squamous cell carcinoma of the cervix) and are the result of infection with HPV. High-grade SIL and CIN II-III lesions are caused by HPV types 16, 18, 31, 33, 35, 39, 45, and 52, and have a high risk for progression to an invasive squamous cell carcinoma. Low-grade SIL and CIN I lesions are caused by HPV types 6, 11, 42, and 44, and have a low risk for progression to squamous cell carcinoma. Ref: Kemp W.L., Burns D.K., Brown T.G. (2008). Chapter 17. Pathology of the Male and Female Reproductive Tract and Breast. In W.L. Kemp, D.K. Burns, T.G. Brown (Eds), Pathology: The Big Picture